1PPM of water flouride reduces caries experience by 60%, this was discovered by:
1. Mckay
2. Dean
3. Churchill
4. WHO

Correct answer: 2. Dean